Vaccine can be stored at PHC for:
1. 2 days
2. 7 days
3. 15 days
4. 30 days

Correct answer: 4. 30 days

Explanation: 30 days